Term vaccine was coined by:
1. Robert Koch
2. Louis Pasteur
3. Needham
4. Goodpasture

Correct answer: 2. Louis Pasteur

Explanation: Ans. B i.e. Louis Pasteur